Type1 Membranoproliferative glomerulonephritis is commonly associated with all except
1. SLE
2. Persistent hepatitis C infection
3. Partial lipodystrophy
4. Neoplastic diseases

Correct answer: 3. Partial lipodystrophy

Explanation: Refer Robbins page no p922 Robbins 8th mentioned that partial lipodystrophy is adsoscated with C3 nephritic factor (C3NeF). It is associated with type 2 Membranoproliferative glomerulonephritis